An 18yr old male patient reported with chief complaint of pain and swelling in the right lower jaw and mild difficulty in opening mouth since one week. A general examination revealed fever and increased pulse rate.
What is the microbial etiology of this condition is?
1. Klebsiella
2. E. Coll
3. Streptococci and anaerobic bacteria
4. Actinomycosis

Correct answer: 3. Streptococci and anaerobic bacteria